The Bhore committee on health survey and development submitted its report in:
1. 1943
2. 1946
3. 1962
4. 1963

Correct answer: 2. 1946

Explanation: The Government of India in 1943 appointed the Health Survey and Development Committee with Sir Joseph Bhore as Chairman. 
The Committee which had among its members some of the pioneers of public health met regularly for 2 years and submitted in 1946 its famous report which runs into 4 volumes.

Park textbook of preventive and social medicine
 23rd edition page number 873